Shortest acting nondepolarising muscle relaxant
1. Succinylcholine
2. Mivacurium
3. Atracurium
4. Vecuronium

Correct answer: 2. Mivacurium

Explanation: Suxamethonium (succinylcholine) is the shortest acting skeletal muscle relaxantMivacurium is the shortest acting nondepolarizing skeletal muscle relaxant(Refer: Morgan and Mikhail's Clinical Anaesthesiology, 5th edition, pg no.214,218,219 )